In mechanical ventilation of a newborn with ARDS, the end tidal volume is kept at ?
1. 5 ml/kg
2. 7 ml/kg
3. 10 ml/kg
4. vials ml/kg

Correct answer: 1. 5 ml/kg

Explanation: Ans. is'a'i.e., 5 ml/kgDuring mechanical ventilation of newborns, it has been found out that large tidal volumes can lead to lung injury, therefore small tidal volumes are recommended.In a healthy newly born tidal volume of 5-8 ml/kg may be used, however it a newbornwith ARDS, a tidal volume of 4-6mlkg k recommended.